Invariably involved site in ulcerative colitis;
1. Sigmoid colon
2. Transverse colon
3. Ileum
4. Rectum

Correct answer: 4. Rectum

Explanation: Most common site involved in ulcerative colitis is the rectum. Rectum is usually spared in Crohn's disease.